Consumption of which of following drugs in pregnancy causes Ebstein anomaly in newborn?
1. Alcohol
2. Phenytoin
3. Valproate
4. Lithium

Correct answer: 4. Lithium

Explanation: Maternal intake of lithium can cause Ebstein anomaly in newborn.
Ebstein anomaly is a rare heart defect in which the tricuspid valve - the valve between the upper right chamber (right atrium) and the lower right chamber (right ventricle ) of the heart isn't formed properly. As a result, blood leaks back through the valve and into the right atrium.